The optical power of the eye is
1. 25 Dioptres
2. 50 Dioptres
3. 60 Dioptres
4. 75 Dioptres

Correct answer: 3. 60 Dioptres

Explanation: (C) 60 Dioptres > The human eye has a refractive power of approximately 60 diopters at rest.